Which test can detect facial nerve palsy occurring due to lesion at the outlet of stylomastoid?
1. Deviation of angle of mouth towards opposite side
2. Loss of taste sensation in anterior 2/3 of tongue
3. Loss of sensation over right cheek
4. Deviation of tongue towards opposite side

Correct answer: 1. Deviation of angle of mouth towards opposite side

Explanation: Lesion occuring at the outlet of stylomastoid foramen means LMN palsy, so face sags and is drawn across to opposite side. Chorda tympani nerve is spared at this level hence taste sensation over anterior 2/3 of tongue preserved